'Vagitus uterinus' is -
1. An infection of vagina
2. An infection of uterus
3. A cry of unborn baby from uterus
4. Infection of both vagina and uterus

Correct answer: 3. A cry of unborn baby from uterus

Explanation: Ans. is 'c' i.e., A cry of unborn baby from uterus Vagitus - First cry of newly bom infantVagitus uterinus - Crying of the fetus before birth while still in the uterus or you can say that the child started breathing while it is in womb (after rupture of membranes).Vagitus vaginalis - Cry of an infant with head still in the vagina or you can say that the child has started breathing while its head is in the vagina.What is the significance of vagitus uterinus?This is used to find out whether the dead child was bom live or not.It is believed that breathing is a proof of live birth.But these two cases have proved that a child can breathe in the vagina or uterus and a child who has breathed in the womb or vagina may die from natural causes before it is completely bom.Therefore proof of breathing is not a proof of live birth.